The cuff used in Endotracheal tube is following
1. Low pressure - high volume
2. High pressure - low volume
3. Variable pressure - low volume
4. Low pressure - low volume

Correct answer: 1. Low pressure - high volume

Explanation: Low pressure - high volume type cuffs have a comparatively large volumes and consequently large contact areas between cuff and trachea. Advantage of high volume, low pressure cuff is lesser incidence of tracheal mucosal damage. Disadvantages of high volume, low pressure cuff include: Sore throat (due to larger mucosal contact area) Aspiration Spontaneous extubation Difficulty in insertion (because of the floppy cuff)